UNDP is an international agency which works for?
1. Development olchildren
2. Development of human & natural resources in a country
3. Economic development of the country
4. Research and technological deveplopment of the country

Correct answer: 2. Development of human & natural resources in a country

Explanation: Ans. is 'b' i.e., Development or human & natural resources in a country